Neurofibromatosis I is most commonly associated with:
1. Brain stem gliomas
2. Optic pathway glioma
3. Sub ependymal pilocytic astrocytoma
4. Glioblastoma multiforme

Correct answer: 2. Optic pathway glioma

Explanation: Answer is B (Optic Nerve Glioma): Optic Gliomas are present in about 15 to 25% of patient with NF-I and its presence is included as one of the criteria in establishing its diagnosis (Diagnostic criteria in NFl) Optic Gliomas are the most common intracranial tumors of Neurofibromatosis 1- Child Neurology